Chandlers Index is used in epidemiological studies of
1. Round worms
2. Hookworms
3. Guinea worms
4. Sand fly

Correct answer: 2. Hookworms

Explanation: Chandler Index:-used for hookwormIt is the average number of hookworm eggs per gram of faeces forthe entire community.Below 200 -Hookworm is not much significance200 - 250 -May be regarded as potential danger250 - 300 -Minor public health problemAbove 300 -Impoant public health problem